Most common nerve pressed by an enlarged left atrium is -
1. Phrenic nerve
2. External laryngeal nerve
3. Recurrent laryngeal nerve
4. Sympathetic nerve

Correct answer: 3. Recurrent laryngeal nerve

Explanation: Enlarged left atrium causes left sided recurrent laryngeal nerve paralysis.